DOC for Herpes simplex encephalitis:
1. Acyclovir
2. Inosine prabonex
3. Intravenous immunoglobulins
4. Amphotericin B

Correct answer: 1. Acyclovir

Explanation: Ans. (a) AcyclovirRef : Harrison 18th edition,chapter 381